Terminal interphalangeal joints of hands are commonly involved in -
1. Psoriatic arthropathy
2. Rheumatoid arthritis
3. Still diseases
4. Ankylosing spondylitis

Correct answer: 1. Psoriatic arthropathy

Explanation: Amongst the given options, Terminal (Distal) interphalangeal joint is involved in Psoriatic arthritis and one pattern of involvement is arthritis of distal interphalangeal joint.